In formocresol, formaldehyde and cresol are in the ratio of:
1. 1:02
2. 2:01
3. 1:01
4. 1:03

Correct answer: 1. 1:02

Explanation: Formocresol
19%      Formoceresol
35%      ceresol
15%      Glycerine
Rest – water